All are functions of Glycosaminoglycans EXCEPT-
1. Anticoagulant
2. Wound healing
3. Lubrication
4. Transport of lipids

Correct answer: 4. Transport of lipids

Explanation: Role of GAGs lubrication, cushioning effect in tissues, wound healing, anticoagulation, cell adhesion and transparency of cornea. Transport of lipids in blood is done by lipoproteins e.g. VLDL, LDL